Branch of Pharmacology that deals with medicinal drugs obtained from plants and other natural sources is known as
1. Pharmacognosy
2. Pharmacogenomics
3. Pharmacopoeia
4. Chronopharmacology

Correct answer: 1. Pharmacognosy